Initial Vmax of an enzyme - substrate interaction is 10 & Km is 5. After adding Drug B Km is 10. Which of the following is false?
1. Drug B is a competitive antagonist
2. Increasing the substrate concentration can reverse the inhibition of Drug B
3. Drug B is structurally similar to substrate
4. Drug B binds to allosteric site of the enzyme

Correct answer: 4. Drug B binds to allosteric site of the enzyme